In a case of chest pain with pericarditis and pericardial effussion, pain is referred by
1. Phrenic nerve
2. Superficial cardiac plexus
3. Deep cardiac plexus
4. Vagus nerve

Correct answer: 1. Phrenic nerve

Explanation: The fibrous and parietal pericardia are supplied by phrenic nerves.They are sensitive to pain.Pain of pericarditis originates in the parietal pericardium alone. B D CHAURASIA'S HUMAN ANATOMY UPPER LIMB THORAX-VOLUME-1 SIXTH EDITION Page no-251